Drug of choice for absent seizures
1. Clonezapam
2. Diazepam
3. Phenytoin
4. Valproate

Correct answer: 4. Valproate

Explanation: Many children appear to have a genetic predisposition to absence seizures. In general, seizures are caused by abnormal electrical impulses from nerve cells (neurons) in the brain. Ref: KD Tripathi 8th ed.